The head tilt procedure while dealing with an unconscious patient in dental chair is done to ensure
1. Patent airway
2. Blood circulation to the brain
3. To clear the foreign body obstacle
4. To relieve spasm of respiratory muscles

Correct answer: 1. Patent airway